Which among the following surgery requires lithotomy position
1. Anal
2. Cardiac
3. Abdominal
4. Limb

Correct answer: 1. Anal

Explanation: Ans) a (Anal) Ref: http://en.wikipedia.orgThe lithotomy position refers to a common position for surgical procedures and medical examinations involving the pelvis and lower abdomen. References to the position have been found in some of the oldest known medical documents including versions of the Hippocratic oath. The position is named after the ancient surgical procedure for removing kidney stones, gall stones and bladder stones via the perineum. The position is perhaps most recognizable as the 'often used' position for childbirth: the patient is laid on the back with knees bent, positioned above the hips, and spread apart through the use of stirrups.Obvious benefits from the position is that it provides good visual and physical access to the perineal region. The position is used for procedures ranging from simple pelvic exams to surgeries and procedures involving, but not limited to reproductive organs, urology, and gastrointestinal systems. Used for perianal surgeries like haemorrhoidectomy, fistulectomy, lateral sphinc-terotomy; perineal surgeries like APR & vaginal hysterectomy.